Isoantigens are(82, 190-AN 7th) (131, 133-CP)A. Found in some but all members of speciesB. Found in some but not all members of speciesC. Occurs in different biological species, class and kingdomsD. All individuals in a particular speciesAns: BSolution: (Found in some but not all members of species) (82, 190-AN 7th) (131-133-CP)Isoantigens or Alloantigens - alloantigens or isoantigens are found to be present in some but not all members of a species which are able to produce alloantibodies or (isoantibodies) in individuals who are free from the antigensDifferent antigensGroup AntigensForeignMicrobial:Cell walls, pili, enzymes toxins. Drugs:Sedermoid. Environmental:Dust, pollens.AutoantigensSelfThyroglobulin, DNA, corneal tissueIsoantigensBlood:Blood group antigens (ABO, Rh) Tissue:HLA antigensHeteroantigens Heterophile antigens, cross reacting microbial antigensSwimming pool granuloma is caused by
1. Myco kansasi
2. Myco. avium intracellulare
3. Myco. scrofiilaceum
4. M. marinum

Correct answer: 4. M. marinum

Explanation: (M. marinum) (365, 368-AN 7th) (411-CP)Swimming pool granuloma or fish tank granuloma caused by M. marinum, the infection may spread to the liver through lymphatic circulation.Cutaneous, subcutaneous bursitis - M. szulgai